A 34-day-old baby presented with increased respiratory effort along with grunting. The infant is always irritable, feeds very poorly and has not been able to gain weight. History of frequent recurrent pneumonia requiring hospitalization. O/E:- Wide pulse pressure Bounding peripheral pulses Hyperkinetic apex Continuous thrill in 2nd left intercostal space Continuous murmur localized to the 2nd left intercostal space and radiating down the left sternal border. ECG CHEST - XRAY Which of the following concomitant findings is most likely to be present in the above child: -
1. Nuclear cataract
2. Limb Hypoplasias
3. Optic atrophy
4. Periventricular calcifications.

Correct answer: 1. Nuclear cataract

Explanation: This is a case of PDA, which is most commonly seen in the setting of congenital rubella syndrome. Limb Hypoplasias and optic atrophy -Congenital varicella syndrome. Periventricular calcifications - Congenital CMV infection Chest x-ray shows marked cardiomegaly with dilatation of the main pulmonary artery and bilateral pulmonary plethora ECG tells LA dilatation, LV hypertrophy and left axis deviation which points towards the diagnosis of PDA. Congenital rubella syndrome Cataract SNHL Cardiac defects (PDA)